Tracking of BP implies:
1. BP increase with age
2. BP decreases with age
3. BP of normotensive becomes hypertensive
4. BP of hypertensive remains hypertensive

Correct answer: 4. BP of hypertensive remains hypertensive

Explanation: Ans. (d) BP of hypertensive remain hypertensiveRef : K. Park 23rd ed. / 374Park 3rd / P 374 States:If BP of a person is tracked from early childhood to adult life then those individuals whose blood pressure was initially high in the distribution, would probably continue in the same "track".